The triad originally described by Zollinger Ellison syndrome is characterized by -
1. Peptic ulceration, gastric hypersecretion, non beta cell tumour
2. Peptic ulceration, gastric hypersecretion, beta cell tumour
3. Peptic ulceration, Achlorhydria, non beta cell tumour
4. None of the above

Correct answer: 1. Peptic ulceration, gastric hypersecretion, non beta cell tumour